Cholesterol is transported to arterial smooth muscle by
1. HDL
2. VLDL
3. LDL
4. IDL

Correct answer: 3. LDL

Explanation: Ref: Textbook of Medical Biochemistry 8th Edition Dr (Brig) MN Chatterjea, Rana Shinde, page no: 434,435